A complication in the first 48 hours of total parenteral
nutrition is
1. Hyper natremia
2. Hyper kalemia
3. Hyperglycaemia
4. Selenium deficiency

Correct answer: 3. Hyperglycaemia